Enzyme level increases in tissue injury is due to
1. Lysis of cell
2. Enzyme secretion
3. No inhibitor in serum
4. All of the above

Correct answer: 1. Lysis of cell

Explanation: In cell injury, there is increased membrane permeability leading to membrane damage. 1.Mitochondrial membrane damage-decreased ATP production 2.Plasma membrane damage- loss of osmotic balance and influx of ions and fluids. 3.Lysosomal membrane damage results in leakage of enzymes into the cytoplasm and activation of acid hydrolases in the acidic intracellular pH of the injured cell. Lysosomes contain RNases, DNases, proteases, glucosidases and other enzymes.Activation of these enzymes leads to enzymatic digestion of cell components. Refer robbins 9/e p39